Arteriolar dilators used in the treatment of CHF
1. Hydralazine
2. Nifedipine
3. Prazosin
4. Enalaprin

Correct answer: 1. Hydralazine

Explanation: Nifedipine is a calcium channel blocker. Enalapril is an ACE inhibitor. Prazosin is alpha 1 blocker. Hydralazine is an arterial dilator and potassium channel opener (REF.Essentials of medical pharmacology KD TRIPATHI 8 Edition)